Major immunoglobulin secreted by intestine -
1. IgG
2. IgM
3. IgA
4. IgD

Correct answer: 3. IgA

Explanation: Ans. is 'c' i.e., IgA IgAo It is the second most abundant antibody (after IgG).o It is major immunoglobulin in dost rum, saliva, tears, respiratory and gastrointestinal secretions. Ig A occurs in two forms.o Slg A and J chain are synthesized by plasma cells.o Secretory# component is produced by mucosal or glandular epithelial cells.o Two subclasses of IgA have been described Ig A. & Ig A,.IgA1-predominant serum IgAIgA2-predominant secretory IgA